The causes of homogenous opacity on X-ray is all except:
1. Pleural effusion
2. Diaphragmatic hernia
3. Massive consolidation
4. Emphysema

Correct answer: 4. Emphysema

Explanation: Ans. Emphysema